The most physiological intravenous fluid is ?
1. Normal Saline
2. 5% Dextrose
3. Ringers Lactate
4. all

Correct answer: 3. Ringers Lactate

Explanation: Ringers lactate is considered most physiological fluid with electrolyte composition similar to plasma fluid.